The type of sampling where the individual himself introduces the other subjects of surgery is called as:
1. Systemic sampling
2. Snowball sampling
3. Introductory sampling
4. Successive sampling

Correct answer: 2. Snowball sampling

Explanation: Snowball sampling is a technique for developing a research sample, where existing study subjects recruit future subjects from among their acquaintances.
It is a type of non-probability sampling.
This sampling technique is often used in hidden populations which are difficult for researchers to access; example, drug users or commercial sex workers.
Thus, the sample group appears to grow like a rolling snowball.
Because sample members are not selected from a sampling frame, snowball samples are subjected to numerous biases.